After premature delivery, mother's milk contains more amount of each of the following except:
1. Lactose
2. Fat
3. Protein
4. Sodium

Correct answer: 1. Lactose

Explanation: After premature delivery, mother's milk does not contains more amount of: Lactose ***Breast milk is richer in lactose (7g/dl) as compared to cow's milk (4.5g/dl). So breast milk gives more energy as carbohydrates to baby. *** Preterm breast milk is richer in Sodium iron proteins fat immunoglobulins calories (but lactose content is not more)